Which of the following PDE- 5 inhibitor has no interaction with high fat meal intake
1. Sidenafil
2. Vardenafil
3. Tadalafil
4. All of the above

Correct answer: 3. Tadalafil

Explanation: High fat meal interferes with absorption of sildenafil and vardenafil but not tadalafil.